Which of the following is a cognizable offence
1. Ragging
2. Robbery
3. Dowry death
4. All of the above

Correct answer: 4. All of the above

Explanation: Refer the byte "Cognizable and Non cognizable offences".